First antiboy to appear in hepatitis:
1. IgM anti HBe
2. IgM anti HBc
3. IgG anti HBe
4. IgM anti HBs

Correct answer: 2. IgM anti HBc

Explanation: Ans. b. IgM anti HBc